A neonate is said be low birth weight (LBW) if his weight is less than ----- gms:
1. 2000
2. 2200
3. 2500
4. 2800

Correct answer: 3. 2500

Explanation: Ans. C. 2500 gramsA neonate weighing < 2500 grams at birth irrespective of gestational age is classified as low birth weight (LBW). A neonate weighing less than 1500 grams is classified as very low birth weight (VLBW). A neonate weighing less than 1000 grams at birth irrespective of the gestational age is classified as extremely low birth weight (ELBW)